Angular conjunctivitis is caused by:
1. Moraxella
2. Virus
3. Bacteroides
4. Fungus

Correct answer: 1. Moraxella

Explanation: A i.e. Moraxella Angular or diplobacillary conjunctivitis is caused by Moraxella lacunate or axenfeld Q (mostly) or staphylococci Q and presents with hyperemia of bulbar conjunctiva & lid margins near the angles (i.e. outer & inner canthi) with foamy mucopurulent discharge. It is treated with oxytetracycline Q or zinc containing ointment Q